Mallory bodies are seen in
1. Viral hepatitis
2. Toxic hepatitis
3. Alcholholic hepatitis
4. All

Correct answer: 3. Alcholholic hepatitis

Explanation: Refer Robbins page no 843